Lombard's test is used to diagnosis ?
1. Conductive hearing loss
2. Sensorineural hearing loss
3. Mixed hearing loss
4. Non-organic hearing loss

Correct answer: 4. Non-organic hearing loss

Explanation: Ans. is 'd' i.e., Non-organic hearing loss Non organic hearing loss can be defined as an apparent hearing loss with no evidence of known disorder or insufficient evidence to explain it. It is of two types: Psychogenic Malingering Tests for malingering: Chimani Mooss test Stenger's test Teal's test Lombard's test Erhardt's test Stethoscope tes Doerffler Stewart test Delayed speech feed back test Bekesy audiometry Lengthened off time test